Steady state concentration of a drug is achieved in:
1. 2-3 half lives
2. 3-4 half lives
3. 4-5 half lives
4. 5-6 half lives

Correct answer: 3. 4-5 half lives

Explanation: Ans. C: 4-5 Half Lives When a drug is infused IV, the plasma concentration continues to rise until elimination equals the rate of delivery into the body. Regardless of the drug, 50% of the plateau concentration is attained in 1 half-life of the drug; for 2, 3, and 4 half-lives, 75%, 87.5%, and 93.75% of the plateau concentration are reached, respectively. For practical purposes, steady state is achieved by 4-5 half-lives.